Inquest is conducted by magistrate in case of -
1. Police firing
2. Traffic accident
3. Railway accident
4. Rape

Correct answer: 1. Police firing